All of the following statements about Parvovirus B -19 are TRUE, EXCEPT:
1. DNA virus
2. Crosses placenta in only < 10% of cases
3. Can cause severe anemia
4. Can cause Aplastic crisis

Correct answer: 2. Crosses placenta in only < 10% of cases

Explanation: Parvovirus B-19 causes a infection called Erythema infectiosum or Fifth disease. Around 50-70% cases are around 5-15 years of age. Transmission from mother to fetus is around 15-30%. It causes, anemia, aplastic crisis, rashes, arthralgia, rarely hydrops fetalis. Ref: Kliegman, Behrman, Jenson, Stanton (2008), "Nelson textbook of Pediatrics", Chapter 248, "Parvovirus B19", Volume 1, Page 1357; Medical Microbiology By Jawetz , 24th Edition, Pages 414, 417